Salivary protein, which prevents transmission of human immunodeficiency virus via saliva is:
1. Sialoperoxidase
2. Secretory IgA
3. Salivary leukocyte proteinase inhibitor
4. Histidine rich proteins

Correct answer: 3. Salivary leukocyte proteinase inhibitor

Explanation: Secretory leukocyte protease inhibitor (SLPI) is found in human saliva, nasal secretions, tears, cervical mucus and seminal fluid. It is believed to be responsible for the anti-HIV properties of external secretions.